Lesch Nyhan syndrome is associated with deficiency of?
1. HPRT(partial)
2. HPRT(total)
3. PRPP(partial)
4. PRPP(total)

Correct answer: 2. HPRT(total)

Explanation: A complete deficiency of HPRT, the Lesch-Nyhan syndrome, is characterized by hyperuricemia, self-mutilative behavior, choreoathetosis, spasticity, and intellectual disability. A partial deficiency of HPRT, the Kelley-Seegmiller syndrome, is associated with hyperuricemia but no central nervous system manifestations. In both disorders, the hyperuricemia results from urate overproduction and can cause uric acid crystalluria, nephrolithiasis, obstructive uropathy, and gouty arthritis. Early diagnosis and appropriate therapy with allopurinol can prevent or eliminate all the problems attributable to hyperuricemia but have no effect on the behavioral or neurologic abnormalities. Ref: Burns C.M., Wortmann R.L. (2012). Chapter 359. Disorders of Purine and Pyrimidine Metabolism. In D.L. Longo, A.S. Fauci, D.L. Kasper, S.L. Hauser, J.L. Jameson, J. Loscalzo (Eds), Harrison's Principles of Internal Medicine, 18e.